A-12-year old boy presents to the Outpatient department with a history of progressively increasing difficulty in walking and frequent falls. Physical Examination reveals an ataxic gait and nystagmus. All deep tendon reflexes were observed to be absent while the plantar response was 'Extensor'. What is the most likely diagnosis?
1. Friedreich's Ataxia
2. Subacute Combined Degeneration of Cord (SACD)
3. Becker's Muscular Dystrophy
4. Tabes Dorsalis

Correct answer: 1. Friedreich's Ataxia